Which one is an example of ONE_WAY communication?
1. Socratic method
2. Didactic method
3. Visual communication
4. Telecommunication

Correct answer: 2. Didactic method

Explanation: DIDACTIC COMMUNICATION (ONE WAY COMMUNICATIONS) Knowledge is imposed Learning is authoritative Less audience participation No feedback Doesnot influence human behaviour Ref: Park 25th edition Pgno: 918